"Buruli" ulcer is caused by:
1. M. Ulcerans
2. M. Marinum
3. M. Kasasi
4. M. Fouitium

Correct answer: 1. M. Ulcerans

Explanation: M. Ulcerans